IOC for G.E.R.D:
1. 24 HR pH monitoring
2. Upper G.I. endoscopy
3. Ultrasound
4. X ray abdomen

Correct answer: 1. 24 HR pH monitoring

Explanation: Ans. (a) 24 HR pH monitoringRef: Harrison 19th ed. 1261-62* 24 hour pH monitoring is done for GERD.* Components of 24 hour pH monitoring:# Percent total time pH < 4# Percent upright time pH < 4# Percent supine time pH < 4# Number of reflux episodes# No. of reflux episodes in 5 minutes# Longest reflux episode (minutes)Remember: This method is also used for detection of laryngo-esophageal reflux that causes asthma, laryngospasm.